Hutchinson's rule is related to
1. Herpes simplex keratitis
2. Mycotic keratitis
3. Herpes zoster Ophthalmicus
4. Vernal keratitis

Correct answer: 3. Herpes zoster Ophthalmicus

Explanation: (Refer: AK Khurana Comprehensive Ophthalmology, 6th edition, pg no. 110, 166) *Hutchinson's rule:- In herpes zoster ophthalmicus, the involvement of the tip of the nose, supplied by external nasal nerve (a terminal branch of nasociliary nerve), signifies increase the risk of ocular involvement (uveitis).